Agarophobia is
1. Fear of closed spaces
2. Fear of crowds
3. Fear of death
4. Fear of fire

Correct answer: 2. Fear of crowds

Explanation: Ans, b (Fear of crowds). (Ref Harrison, Medicine 18th/Ch. 12, 21, 391)AGORAPHOBIA# Irrational & undue phobia of a particular situation is known as agoraphobia.# This is an example of irrational fear of situation.# It is commonest type of phobia encountered in clinical practice.# Women out number men in suffering agoraphobias# It is characterized by irrational fear of being in places away from familiar setting of homes.# Although it was earlier thought to be a fear of open spaces only now it includes fear of open space, public places, crowded places, any other place where there is no escape from public view.# Infact patient is afraid of all the places or situation from where escape may be difficult or help may not be available if he suddenly develops embarrassing or incapacitating symptoms.# These embarassing or incapacitating symptoms are the classical symptoms of public phobia.# A full-blown panic attack may occur (agoraphobia with panic disorder) or only a few symptoms like dizziness or tachycardia may occur (agoraphobia without panic disorder).